Secretory Diarrhea is caused by all of the following, Except:
1. Cholera
2. Laxatives
3. Excess phenolphthalein intake
4. Clostridium difficle

Correct answer: 4. Clostridium difficle

Explanation: Answer is D (Clostridium Difficle) Clostridium difficle is typically associated with Inflammatory' diarrhea and not 'secretory' diarrhea. Clostridium Difficle may rarely cause a secretory type of diarrhea, but it remains the single best answer of exclusion.